Antiprogesterone compound RU-486 is effective for inducing abortion if the duration of pregnancy is:
1. 63 days
2. 72 days
3. 88 days
4. 120 days

Correct answer: 1. 63 days

Explanation: Mifepristone (RU 486) an Antiprogestin, degenerates the pregnancy in doses ranging from 200-600mg. This is followed by Misoprostol (prostagladin) in 400ug orally or 800ug vaginally which causes uterine contractions to expel the dead fetus. This regime is -99% successful - If done within 1st 7 weeks -95% successful - If done within 1st 9 weeks